Gleasons score is used for
1. Prostate carcinoma
2. Testicular carcinoma
3. Renal cell carcinoma
4. Malignan melanoma

Correct answer: 1. Prostate carcinoma

Explanation: Ans. is 'a' i.e., Prostate carcinoma Gleason score and grading system* Gleason score is the most commonly used histological grading system for prostate cancer.* The two most predominant histological patterns of the prostate cancer are assigned a Gleason grade ranging from 1-5.* Primary grade is assigned to the pattern of cancer that is most commonly observed in the histological slides of the specimen.* Secondary grade is assigned to the second most commonly observed pattern in the specimen.* Gleason score is the sum of the two grades. Thus it is also known as Gleason sum.* If the entire specimen has only one pattern present, then both the primary and sencondary grades are reported as the same grade.* As Gleason grades range from 1 to 5, Gleason score thus range from 2 to 10* The Gleason score is used to help evaluate the prognosis of men with prostate cancer. Together with other parameters, the Gleason score is incorporated into a strategy of prostate cancer staging which predicts prognosis and helps guide therapy.* A point of importance is that the primary Gleason grade is most important with respect to placing patients in prognostic groups. For example in patients with a Gleason score 7, a Gleason 4+3 is a more aggressive cancer than a Gleason 3+4.